Lathyrism is seen with eating of:
1. Red gram
2. Kesari dhal
3. Mushrooms
4. Sausages

Correct answer: 2. Kesari dhal

Explanation: Ans. Kesari dhal